Pneumonic plague transmission route:
1. Mice
2. Tick
3. Inhalation
4. Flea

Correct answer: 3. Inhalation

Explanation: Ans. (c) InhalationRef: K. Park 23rd ed. / 292-94* Pneumonic plague, a severe type of lung infection* It is one of three main forms of plague, all of which are caused by the bacterium Yersinia pestis.* Primary pneumonic plague results from inhalation of fine infective droplets and can be transmitted from human to human without involvement of fleas or animals.